Which of the following ganglia does not contain postganglionic parasympathetic neurons?
1. Celiac
2. Ciliary
3. Otic
4. Pterygopalatine

Correct answer: 1. Celiac

Explanation: The celiac ganglion is a sympathetic prevertebral (collateral) ganglion that contains postganglionic neurons. In parasympathetic system(cranial part) there are four small peripheral ganglia - ciliary, pterygopalatine, submandibular and otic